Gastrospleenic ligament is due to peritoneal reflection of which artery ?
1. Splenic artery
2. Short gastric artery
3. Pancreatic artery
4. Common hepatic artery

Correct answer: 2. Short gastric artery

Explanation: Ans. is 'b' i.e., Short gastric artery